All are parts of low pressure system except:-
1. Flow meters
2. Hypoxia prevention safety device
3. Vaporiser
4. Pipeline system

Correct answer: 4. Pipeline system

Explanation: Pipeline system comes under intermediate pressure system. Normal hospital pipeline supply pressure of all gases is at50-55 psig(USA). In India, it is 60 psig. Intermediate pressure system It includes the components of the machine which receive gases at reduced pressures usually 37-55 PSIG. This in older machines includes the O2 failure alarms and O2flush and in modern machines also include O2pressure fail safe systems, pipeline inlet connections, pipeline pressure gauges and ventilator power outlets. Low pressure system includes flowmeter assembly, vapouriser, hypoxia guard and common gas oulet.